Rupture of the skin and subcutaneous tissue is called:
1. Incised wound
2. Abrasions
3. Lacerated wound
4. Contusion

Correct answer: 3. Lacerated wound

Explanation: Ans. C: Lacerated wound